Cavernous sinus thrombosis following infection of anterior maxillary teeth most often from spread of infection along
1. Facial artery
2. Angular artery
3. Ophthalmic vein
4. Pterygoid plexus

Correct answer: 3. Ophthalmic vein